Meckel's diverticulum is remnant of
1. Vitello intestinal duct
2. Urachus
3. Oganic diaphragm
4. None

Correct answer: 1. Vitello intestinal duct